Major site of protein glycosylation is
1. ER and golgi body
2. Ribosome and golgi body
3. ER and ribosome
4. Ribosome and cytoplasm

Correct answer: 1. ER and golgi body

Explanation: Because many glycosylation reactions occur within the lumen of the Golgi apparatus, carrier systems (permeases and transporters) are required to transport nucleotide sugars across the Golgi membrane.Ref: Harpers Illustrated Biochemistry, 30th edition, page no: 572